A hypertensive patient who is a chroic smoker presented with recurrent hemoptysis. On examination he had cushingoid features. Investigations revealed raised ACTH levels not suppressed by dexamethasone. The single diagnosis which can account for all his symptoms is
1. Multiple endocrine neoplasia I
2. Pituitary adenoma
3. Adrenocortical adenoma
4. Ectopic ACTH producing tumor

Correct answer: 4. Ectopic ACTH producing tumor

Explanation: Harmonies produced by small cell carcinoma ACTH,ADH,CALCITONIN,GONADOTROPIN. Ref Davidson edition23rd pg 601